Concentration of fluoride in salt
1. 225ppm
2. 250ppm
3. 275ppm
4. 90ppm

Correct answer: 2. 250ppm